A 2-year-old male is admitted to the hospital with testicular pain. Physical examination reveals an enlarged scrotum. An otoscope is placed beneath the lateral side of the scrotum and the testis is transilluminated through the scrotal sac. Which of the following best describes the signs observed in this patient?
1. Varicocele
2. Rectocele
3. Cystocele
4. Hydrocele

Correct answer: 4. Hydrocele

Explanation: (d) Source: GAS 448-451; GA 224-225 As seen in the photograph, the swollen scrotum contains mostly a clear fluid. Since hydrocele is the accumulation of fluid between the visceral and parietal layers of the tunica vaginalis, this condition best accounts for the findings in this patient.